Sexual gratification obtained by wearing dresses of opposite sides in
1. Necrophilia
2. Fetichism
3. Frotteurism
4. Transvestism

Correct answer: 4. Transvestism

Explanation: TRANSVESTISM In this type of sexual perversion, sexual satisfaction is obtained by wearing clothes of the opposite sex. His whole personality is dominated to be identified as a member of the opposite sex. Ref: FORENSIC MEDICINE AND TOXICOLOGY Dr PC IGNATIUS THIRD EDITION PAGE 312